HOX gene mutation can cause all except ?
1. Syndactyly
2. Palydactyly
3. Fused carpal bones
4. VSD

Correct answer: 4. VSD

Explanation: Ans. is 'd' i.e., VSDo The role of HOX genes in limb development is illustrated by two abnormal phenotypes produced by mutations in this family of genes :?1) Mutation in HOX-A 13 result in hand-foot-genital syndrome, characterized by fusion of carpal bones and small short digits. Females have partially or completely divided uterus and abnormal position of urethral orifice. Males may have hypospadias.2) Mutations in HOX-D 13 result in a combination of syndactyly and polydactyly (synpolydactyly).